The phenomenon where subsequent generations are at risk of earlier and more severe disease is known as:
1. Anticipation
2. Pleiotropy
3. Imprinting
4. Mosaicism

Correct answer: 1. Anticipation

Explanation: Anticipation refers to the phenomenon in which clinical features of a genetic disease worsen with each successive generation. Eg : Fragile X syndrome and Huntington disease (CAG repeats).